Down's syndrome is:
1. Trisomy 21
2. Trisomy 18
3. Trisomy 13
4. 45,X

Correct answer: 1. Trisomy 21

Explanation: Symptoms of down's syndrome (Trisomy 21): Intellectual disability Epicanthic folds and flat facial profile Simian's crease Umblical hernia Hypotonia Gap between first and second toe Congenital heart defects Trisomy 18 (Edwards syndrome) symptoms: Prominent occiput Intellectual disability Low set ears Congenital heart defects Rocker-bottom feet Trisomy 13 (Patau syndrome) symptoms: Microphthalmia Microcephaly and intellectual disability Polydactyly Cleft lip and palate Renal defects Turner syndrome (45,X) include: Short stature Coarctation of aorta Cubitus valgus Streak ovaries, infertility, amenorrhea Peripheral lymphedema at birth Low posterior hairline Webbing of neck Broad chest and widely spaced nipples